Buspiron, an antianxiety drug act on -
1. GABA receptors
2. BZDs receptors
3. D2 receptors
4. 5HTIA receptors

Correct answer: 4. 5HTIA receptors

Explanation: Ans. is 'd' i.e., 5HT1A receptors Buspironeo Buspirone is the first azapirone, a new class of anxiolytic drugo Buspirone is a non-sedative, non-habit forming anxiolytic.o It differs from BZDs.1. Does not produce sedation or cognitive/functional impairment2. Does not produce tolerance or physical dependence.3. Has no muscle relaxant or anticovulsant activity.4. Does not act on BZD receptor or modify GABA ergic transmission.o It has partial agonistic activity on 5-HT1 A receptors.o It relieves mild to moderate generalized anxiety, but is ineffective in severe cases.